Induction agent of choice in a case of bronchial asthma is:
1. Thiopentone
2. Propanolol
3. Ether
4. Ketamine

Correct answer: 4. Ketamine

Explanation: In patients with bronchial asthma regional anaesthesia is preferred over GA but blocks above T8 are not recommended. Ketamine causes bronchodilatlon and Is the induction agent of choice. It is anaesthetic of choice for status asthmaticus. Bronchodilatton is due to sympathetic stimulation. GA is maintained by oxygen, nitrous oxide and halothane. Benzylisoquinoline derivatives muscle relaxants (atracurium) should not be used (these agents release histamine and can cause severe bronchospasm). So steroidal agents (vecuronium) should be used.